All of the following drugs are classified as atypical antipsychotics, EXCEPT:
1. Olanzepine
2. Clozapine
3. Risperidone
4. Thioridazine

Correct answer: 4. Thioridazine

Explanation: Thioridazine is a first generation antipsychotic. Commonly used atypical antipsychotics are:ClozapineRisperidoneOlanzapineQuetiapineZiprasidoneAripiprazoleFirst generation antipsychotics are:ChlorpromazineTrifluoperazinePerphenazineLoxapineHaloperidolFluphenazineThiothixeneRef: Reus V.I. (2012). Chapter 391. Mental Disorders. In D.L. Longo, A.S. Fauci, D.L. Kasper, S.L. Hauser, J.L. Jameson, J. Loscalzo (Eds), Harrison's Principles of Internal Medicine, 18e.